Which event occurs during ventricular diastole?
1. Filling of coronary arteries
2. Closure of mitral valve
3. Opening of pulmonary valve
4. Closure of tricuspid valve

Correct answer: 1. Filling of coronary arteries

Explanation: The coronary arteries are branches from the right and left cusps of the aortic valve. So, during systole, when the ventricles are contracting and the aortic valve is open, cusps of the aortic valve are covering the openings to the coronary arteries. This blockage, as well as the contraction of the ventricles, prevents the coronary arteries from filling. Instead, theyfill during ventricular diastole. The mitral valve and tricuspid valve are open during diastole since the ventricles are filling with blood. The pulmonic valve and aortic valve are closed during diastole since they are not being pushed open by the force of flowing blood. Ref: Barrett K.E., Barman S.M., Boitano S., Brooks H.L. (2012). Chapter 30. The Heart as a Pump. In K.E. Barrett, S.M. Barman, S. Boitano, H.L. Brooks (Eds), Ganong's Review of Medical Physiology, 24e.